Non-erosive arthritis is seen in
1. Ankylosing spondylitis
2. Juvenile idiopathic arthritis
3. Systemic lupus erythematosus
4. Osteogenesis imperfecta

Correct answer: 3. Systemic lupus erythematosus

Explanation: Non-erosive arthritis is classifically seen in systemic lupus erythematosus.